___________ is anaerobic method of solid waste disposal:
1. Bangalore method
2. Mechanical composting
3. Controlled tipping
4. Incineration

Correct answer: 1. Bangalore method